Decreased T cell immunity is a feature of ?
1. Digeorge syndrome
2. Hyper IgM syndrome
3. Severe congenital neutropenia
4. Chronic granulomatous diseas

Correct answer: 1. Digeorge syndrome

Explanation: Ans. is 'a' i.e., Di George syndrome Classification of Primary Immune Deficiency Diseases Deficiencies of the Innate Immune System Phagocytic cells Impaired production severe congenital neutropenia (SCN) Asplenia Impaired adhesion leukocyte adhesion deficiency (LAD) Impaired killing; chronic granulomatous disease (CGD) Innate immunity receptors and signal transduction Defects in Toll-like receptor signaling Mendelian susceptibility to mycobacterial disease Complement deficiencies Classical, alternative, and lectin pathways Lytic phase